Which change tends to increase GFR?
1. Increased afferent arteriolar resistance
2. Decreased efferent arteriolar resistance
3. Increased glomerular capillary filtration coefficient
4. Increased Bowman's capsule hydrostatic pressure

Correct answer: 3. Increased glomerular capillary filtration coefficient

Explanation: Glomerular capillary filtration coefficient = hydraulic conductivity x surface area of the glomerular capillaries. Therefore, increasing the glomerular capillary filtration coefficient tends to increase GFR. Increased afferent arteriolar resistance, decreased efferent arteriolar resistance, increased Bowman's capsule hydrostatic pressure, and decreased glomerular hydrostatic pressure tend to decrease GFR.